Pseudopolyps are seen in?
1. Crohn's disease
2. Ulcerative colitis
3. Celiac disease
4. Tropical sprue

Correct answer: 2. Ulcerative colitis

Explanation: ANSWER: (B) Ulcerative colitisREF: Robbins 7th edition page 851, Harrisons Internal Medicine 17th edition chapter 289. Inflammatory Bowel Disease"Pseudopolyps are seen with ulcerative colitis not crohn's disease" Ulcerative ColitisCrohn's DiseaseEPIDEMIOLOGY Incidence (North America) per person-years2.2-14.3/100,0003.1-14.6/100,000Age of onset15-30 & 60-8015-30 & 60-80EthnicityJewish > Non-Jewish Caucasian > African American > Hispanic > AsianJewish > Non-Jewish Caucasian > African American > Hispanic > AsianMale: Female ratio1:11.1--1.8:1SmokingMay prevent diseaseMay cause diseaseOral contraceptivesNo increased riskOdds ratio 1.4AppendectomyProtectiveNot protectiveMonozygotic twins6% concordance58% concordanceDizygotic twins0% concordance4% concordancePATHOLOGY DistributionDiffuseSkip lesionsInflammationLimited to mucosaTransmuralPseudopoiypsMarkedNo to slightUlcersSuperficialDeep linearGranulomaNoYes (50%)Fistula/SinusesNoYesCLINICAL Gross blood in stoolYesOccasionallyMucusYesOccasionallySystemic symptomsOccasionallyFrequentlyPainOccasionallyFrequentlyAbdominal massRarelyYesSignificant perineal diseaseNoFrequentlyFistulasNoYesSmall-intestinal obstructionNoFrequentlyColonic obstructionRarelyFrequentlyResponse to antibioticsNoYesRecurrence after surgeryNoYesANCA-positiveFrequentlyRarelyASCA-positiveRarelyFrequentlyENDOSCOPIC Rectal sparingRarelyFrequentlyContinuous diseaseYesOccasionally"Cobblestoning"NoYesGranuloma on biopsyNoOccasionallyRADIOGRAPHIC Small bowelNoYessignificantly abnormal Abnormal terminal ileumOccasionallyYesSegmental colitisNoYesAsymmetric colitisNoYesStrictureOccasionallyFrequentlyNote: ANCA. antineutrophil cytoplasm antibody; ASCA, Anti-Sacchanomyces cerevisiae antibody.